An old man has enlarged prostate. Which of the following may be use to suppress his prostatic growth -
1. Spironolactone
2. Ketoconazole
3. Finasteride
4. Flutamide

Correct answer: 3. Finasteride

Explanation: Ans. is 'c' i.e., Finasteride o 5-a reductase inhibitors (finasteride) are used in BPH.